Saponification means hydrolysis of fats by:
1. Acid
2. Alkali
3. Water
4. Enzymes

Correct answer: 2. Alkali